Which drug predisposes to pyloric stenosis in infants -
1. Erythromycin
2. Streptomycin
3. Tetracycline
4. Nitrofurantoin

Correct answer: 1. Erythromycin

Explanation: Ans. is 'a' i.e., Erythromycino Maternal and infant use of erythromycin and other macrolide antibiotics have been reported as riks factors for infantile hypertrophic pyloric stenosis (IHPS).